The material used for a vaporizer should have which of the following qualities
1. High specific heat, low thermal conductivity
2. Low specific heat, low thermal conductivity
3. Low specific heat, high thermal conductivity
4. High specific heat, high thermal conductivity

Correct answer: 4. High specific heat, high thermal conductivity

Explanation: High specific heat of the material will act as a heat source to replace the heat lost during vaporization, and high thermal conductivity will facilitate transfer of heat from the surroundings to replace the lost heat of vaporization as well, both helping to maintain the liquid at constant temperature and therefore maintain a constant vapor pressure. This is the reason that early vaporizers were constructed of copper ("copper kettle") or brass (Vernitrol vaporizer.)